Which is the largest pathogenic bacillus ?
1. Bacillus cereus
2. Bacillus subtilis
3. Bacillus megaterium
4. Bacillius anthracis

Correct answer: 4. Bacillius anthracis

Explanation: Ans: D (Bacillius anthracis) Ref: Ananthnarayan R. Paniker CKJ. Textbook of Microbiology. 8th Edition. Hyderabad: Universities Press; 2009. Pg. 242Explanation:Bacillus anthracisConsiderable historical interest is attached to the anthrax bacillus.First pathogenic bacterium to be observed under the microscopeFirst communicable disease shown to be transmitted by inoculation of infected bloodFirst bacillus to be isolated in pure culture and shown to possess sporesFirst bacterium used for the preparation of an attenuated vaccineThe anthrax bacillus is the largest of pathogenic bacteria, measuring 3-10 mm x 1-1.6 mm.Characteristics of Bacillus anthracisBamboo stick appearancePolypeptide capsule - M'Fadyeans reaction {stain with Polychrome Methylene blue)Edge of colony under dissecting Microscope shows Medusa Head appearance"Nutrient agar -Frosted glass appearanceBlood Agar - No or Minimal HemolysisSelective Medium - PLETmedium (Polymyxin, Lysozyme, EDTA, thallous acetate)Gelatin Stab Culture - Inverted Fir Tree appearance"String of Pearls" - media with .05 - .5 U PenG/ ml